Which of the following is an anti - VEGF drug?
1. Adalimumab
2. Bevacizumab
3. Cetuximab
4. Daclizumab

Correct answer: 2. Bevacizumab

Explanation: Ans. is 'b' i.e., Bevacizumab Monoclonal AntibodyTargetIndicationTrastuzumabher-2/neuBreast cancerTositumomabCD 20B-cell NHLRituximabCD 20B-cell NHLlbritumomabCD 20B-cell NHLDaclizumabIL-2R (CD-25)ImmunosuppressantBasiliximabIL-2R (CD-25)I mmunosuppressantAbciximabGpII/IIIaAntiplateletPalivizumabFusion proteinRSVInfliximabTNF aRA,Crohn's diseaseEtanerceptTNF aRA (rheumatoid arthritis)OfatumumabCD 20SLEBelimumabBLySSLEEpratuzumabCD 22SLEOcrelizumabCD 20SLEAdalimumabTNF aRAAlefaceptLFA-3Plaque psoriasisAlemtuzumabCD 52B cell CLLBevacizumabVEGFColorectal carcinomaCetuximabEGFRColorectal carcinomaGemtuzumabCD 33AMLEfalizumabCD 1 la chain of LFAPsoriasisOmalizumabIgEBronchial asthmaNatalizumabIntegrin-a4Multiple sclerosisDonesumabRANK ligandOsteoporosisTocilizumabIL-6RSLEPanitumumabEGFRColorectal carcinomaRanibizomabVEGFNeovascular macular degenerationNimotuzumabEGFRSquamous cell carcinoma, gliomaEculizumabC5 complement componentParoxysomal nocturnal hemoglobinuria